Window of limbic system
1. Amygdala
2. Hypothalamus
3. Thalamus
4. Hippocampus

Correct answer: 1. Amygdala

Explanation: Amygdala is considered as window of limbic system Ref: guyton and hall textbook of medical physiology 12 edition page number: 826,827,828